Traumatized pulp which is not capable of positive response to tooth vitality tests for 6–8 weeks after injury is called as:
1. Stunned pulp
2. Dead pulp
3. Necrosed pulp
4. All of the above

Correct answer: 1. Stunned pulp

Explanation: Stunned pulp = Traumatized pulp which is not capable of positive response to tooth vitality tests for 6–8 weeks after injury.